Histologically bone produced in Distraction Osteogenesis is?
1. Endochondral
2. Intramembranous
3. Endochondral and Intramembranous
4. Predominantly Endochondral

Correct answer: 2. Intramembranous